The right gastroepiploic artery is a branch of which of the following artery?
1. Celiac trunk
2. Splenic
3. Left gastric
4. Gastroduodenal

Correct answer: 4. Gastroduodenal

Explanation: The greater curvature of stomach is supplied by the right gastroepiploic artery, which is a branch of the gastroduodenal artery. Gastroduodenal artery is a large branch of hepatic artery, which descends behind the first part of duodenum. It gives rise to two branches right gastroepiploic artery and superior pancreaticoduodenal artery. Ref: Clinical anatomy for Medical Students By Richard S Snell, 6th Edition, Page 218-9 ; B.D.Chaurasia's Human Anatomy, 5th Edition, Volume 2, Page 263